All are derivatives of ectoderm except-
1. epidermis
2. parotid gland
3. neuro hypophysis
4. arrector pilorum

Correct answer: 4. arrector pilorum

Explanation: Surface ectoderm derivatives:- Epithelium and glands skin epithelium sweat glands, sebaceous glands Myoepitheliocytes of skin glands Any external opening oral opening Rathke's pouch (Most of the Pituitary gland) salivary glands parotid, submandibular, sublingual glands Neural plate ectoderm derivatives Iris muscles- sphincter and dilator pupillae CNS neurohypophysis Neurohypophysis(Posterior pituitary gland)